A patient presented with hoarseness of voice. He was found to be having pachydermia laryngitis. All of the following are true except -
1. It is a hyperkeratotic lesion present within the anterior 2/3rd of the vocal cords
2. It is not premalignant lesion
3. Diagnosis is made by biopsy
4. On microscopy it shows acanthosis and hyperkeratosis

Correct answer: 1. It is a hyperkeratotic lesion present within the anterior 2/3rd of the vocal cords